All of the following factors predispoase to Aortic dissection, Except:
1. Systemic hypertension
2. Coarctation of aorta
3. In Ist trimester pregnancy
4. Takayasu's arteritis

Correct answer: 3. In Ist trimester pregnancy

Explanation: Answer is C (In 1st trimester pregnancy)Aortic dissection is predisposed during Third trimester of pregnancy and not during the first trimester of pregnancy Risk factors / Predisposing factors for Aortic DissectionSystemic Hypertension and cystic medial necrosisConnective Tissue Disorders- Marfan's Syndrome- Ehler's Danlos SyndromeInflammatory Aoititis- Takayasu arteritis- Giant cell aeritisCongenital Aortic Valve abnormalities- Bicuspid Aortic ValveCoarctation of AoaAoic traumaThird trimester of pregnancy